Which of the following is Anti-proteinase-3 positive
1. Churg Strauss syndrome
2. Microscopic polyangiitis
3. Wegener's granulomatosis
4. Polyarteritis nodosa

Correct answer: 3. Wegener's granulomatosis

Explanation: Anti-Proteinase-3 (C-ANCA) Positive is wegener's granulomatosis.